Mutations in merlin protein is associated with:
1. Astrocytoma
2. Meningioma
3. Medulloblastoma
4. Oligodendroglioma

Correct answer: 2. Meningioma

Explanation: The most common cytogenetic abnormality is loss of chromosome 22, especially the long arm (22q). The deletions include the region of 22q12 that harbors the NF2 gene, which encodes the protein merlin. Meningiomas are a common lesion in the setting of NF2. Ref: Robbins 8th edition Chapter 28.